Atherosclerosis is associated with:
1. Lysine
2. Histidine
3. Homocysteine
4. Leucine

Correct answer: 3. Homocysteine

Explanation: HOMOCYSTINURIA - HOMOCYSTEINE ACCUMULATION LEAD TO STROKE, ATHEROSCLEROSIS, MI, PULMONARY EMBOLISM Accumulation of derived amino acid Homocysteine, results due to deficiency of Cystathionine Synthase and Cystathionase as shown in figure below. C/F: -INTELLECTUAL DISABILITY -ECTOPIA LENTIS -SEIZURES -OSTEOPOROSIS MARFANOID HABITUS -SIMILAR TO MARFAN SYNDROME EXCEPT IN MARFAN LENS IS OUTWARDS AND UPWARDS *IN HOMOCYTINURIA - LENS IS DOWNWARDS AND INWARDS *HOMOCYSTEINE ACCUMULATION OCCURS IN CASE OF B6, B9 & B12 DEFICIENCY